Maximum blood flow per 100 gm of tissue is in:
1. Brain
2. Heart
3. Kidney
4. Liver

Correct answer: 3. Kidney

Explanation: Organ Blood flow (during rest) (ml/min.) Blood flow (maximal vasodilatation) (ml/min.) Blood flow (ml) per 100 gm of tissue per min. % total cardiac output Brain 750 1500 55 14 Heart 250 1200 80 5 Liver 1300 5000 85 23 Kidneys 1200 1500 400 22 Muscle 100 20,000 3 18 Skin 200 4000 10 4 Highest amount of blood flow (ml/min): Liver Highest amount of blood flow (ml/100 gm of tissue/min.): Kidneys. However, carotid body receives 2000 ml/100 gm of tissue/min., highest for any tissue in the body. Highest arterio-venous O2 difference is seen in the heart; it is least in the kidneys.